Most common cause of thyrotoxicosis in childhood ?
1. Toxic nodular goitre
2. Toxic adenoma
3. Graves disease
4. Thryotoxicosis factitia

Correct answer: 3. Graves disease